Chromosomal studies are done in which stage:
1. Prophase
2. Metaphase
3. Telophase
4. Anaphase

Correct answer: 2. Metaphase

Explanation: Metaphase